Glucagon receptors are NOT found in which organ:
1. Cornea
2. Kidney
3. Stomach
4. Adrenal gland

Correct answer: 1. Cornea

Explanation: Ans. (a) CorneaRef: Harper's Biochemistry, 30 edn. pg. 140th* Glucagon receptors are mainly expressed in liver and in kidney with lesser amounts found in heart, adipose tissue, spleen, thymus, adrenal glands, pancreas, cerebral cortex, and gastrointestinal tract.